Hassall's corpuscles are found in?
1. Lymph nodes
2. Spleen
3. Liver
4. Thymus

Correct answer: 4. Thymus

Explanation: The dominant feature of medulla of thymus is its epithelial components, which are onion like structures called Hassall's Corpuscles, which have an intensely eosinophilic core of dead material,